A 45 years male HIV-1 positive was started on a cART regimen of Tenofovir-Emtricitabine-Efavirenz. After 9 months, he developed Efavirenz resistance which lead to failure of therapy. Which of following drug of the same class can be used in place of Efavirenz?
1. Delavirdine
2. Etravirine
3. Nelfinavir
4. Nevirapine

Correct answer: 2. Etravirine

Explanation: Etravirine is Non-Nucleoside Reverse Transcriptase Inhibitor (NNRTI). Etravirine in combination with other anti-retrovirals is indicated for the treatment of human immunodeficiency virus type 1 (HIV-1) infection in antiretroviral treatment-experienced adult patients Resistance to other NNRTIs does not confer resistance to Etravirine so it can be used in place of Efavirenz . Nelfinavir is a protease inhibitor and not NNRTI Nevirapine, Delavirdine, and Efavirenz are NNRTIs